Dose and duration of benzathine penicillin for prophylaxis of rheumatic fever is:
1. 1.2 MU every 2 weeks
2. 1.2 MU every 4 weeks
3. 2.4 MU every 2 weeks
4. 2.4 MU every 4 weeks

Correct answer: 2. 1.2 MU every 4 weeks

Explanation: Ans. B: 1.2 MU every 4 weeks Benzathine penicillin G 0.6-2.4 MU intramuscularly is given every 2-4 weeks as aqueous suspension.It releases penicillin extremely slowly-plasma concentrations are very low but remain effective for prophylactic purposes for up to one week. Low concentrations of penicillin prevent colonization by streptococci responsible for rheumatic fever. Benzathine penicillin is given 1.2 MU every 4 weeks till 18 years of age or 5 years after an attack, whichever is more. Adverse drug reactions Hypersensitivity reaction without anaphylaxis.The most common reaction is idiopathic with a maculopapular or morbilliform rash. Anaphylaxis is rare (1-4 per 10,000 patients) but may be fatal. GI intolerance (with oral administration) Phlebitis at infusion sites and sterile abscesses at IM sites Jarisch-Herxheimer reaction (with treatment of syphilis or other spirochetal infections)